Mesangial deposition of electron dense substance seen in-
1. IgA nephropathy
2. Membranous nephropathy
3. Minimal change disease
4. Post streptococcal glomerulonephritis

Correct answer: 1. IgA nephropathy

Explanation: Ans. is 'a' i.e., IgA nephropathy o IgA Nephropathy: shows presence of electron dense deposits in the mesangium. DiseaseMost frequentclinicalpresentationPathogenesisGlomerular pathology Light MicroscopyFluorescenceMicroscopy-Electron MicroscopyPostinfectious gl omerulonephritisNephriticsyndromeImmune complex mediated; circulating or planted antigenDiffuse endocapilla- ry proliferation; leukocytic; infiltrationGranular IgG and C3 in GBM and mesangium; Granular IgA in some casesPrimarily subepithelial humps; subendothelial deposits in early disease stages.GoodpasturesyndromeRapidly progressive glomerulonephritisAnti-GBM COL4- A3 antigenExtracapillary proliferation with crescents; necrosisLinear IgG and C3; fibrin in crescentsNo deposits; GBM disruptions; fibrinChronicg lomerulonephritisChronic renal failureVariableHyalinized glomeruliGranular or negative MembranousnephropathyNephroticsyndromeIn situ immune complex formation; PLA2Rantigen in most cases of primary disease mostly unknownDiffuse capillary wall thickeningGranular IgG and C3; diffuseSubepithelialdepositsMinimal change diseaseNephroticsyndromeUnknown; loss of glomerular polyani-on; podocyte injuryNormal; lipid in tubulesNegativeLoss of foot processes; no depositsFocal segmental glomerulosclerosisNephroticsyndrome;nonnephroticproteinuriaUnknown Ablation nephropathy Plasma factor (?) podocyte injuryFocal and segmental sclerosis and hvalinosisFocal; IgM + C3 in many casesLoss of foot processes; epithelial denudationMembraneproli- ferative glomerulonephritis (MPGN) type 1Nephrotic'nephroticsyndromeImmune complexMesangial proliferative or membra- noproliferative patterns of proliferation; GBM thickening; splittingIgG ++ C3;Clq ++ C4SubendothelialdepositsDense-deposit disease (MPGN type 11)Hematuria Chronic renal failureAutoantibody;alternativecomplementpathwayMesangial proliferative or mcmbrano- proliferative patterns of proliferation; GBM thickening; SplittingC3; no Clq or C4Dense depositsIgA nephropathyRecurrent hematuria or proteinuriaUnknownFocal mesangial pro-liferative glomerulo-nephritis; mesangial wideningIgA+- IgG IgM, and C3 in mesangiumMesangial and paramesangial dense deposits